Following hormonal levels are increased in small cell carcinoma of lung except
1. ACTH
2. Growth hormone
3. ANF
4. AVP

Correct answer: 2. Growth hormone

Explanation: Hormones produced by small cell variant ACTH AVP ANF calcitonin Gastrin relesinre peptide Ref Harrison 19th edition pg 541